Meniere's disease is characterised by:
1. Conductive hearing loss and tinnitus
2. Vertigo, ear discharge, tinnitus and headache
3. Vertigo, tinnitus, hearing loss and headache
4. Vertigo, tinnitus and hearing loss

Correct answer: 4. Vertigo, tinnitus and hearing loss

Explanation: Meniere's disease is due to raised endolymphatic pressure and clinically presents with vertigo, tinnitus, sensorineural hearing loss and sense of aural fullness. Vertigo can be accompanied by nausea and vomiting. Choice (a) is excluded due to conductive loss, (b) due to headache and ear discharge, and (c) due to headache. Presence of headache with vertigo and tinnitus may be a feature of neurological disorder.